Viridans streptococci
A Include Streptococcus mutans, mitis, sanguis and salivarious
B Reliable produce haemolysis on blood Agar plates
C Accounts for few cases of infective endocarditis
D The men strains of cariogenic streptococcus
E Can be isolated from the bloodstream in the majority of patients immediately after dental extraction
1. ADC is true
2. ADE is true
3. ABC is false
4. ADC is false

Correct answer: 2. ADE is true